Which of the following is false about clinical remounting procedure?
1. It is the gold standard to diagnose a case for rebasing
2. It improves stability of the denture
3. It is more accurate than intraoral occlusal adjustments
4. Use of semi adjustable articulators mandatory for the procedures

Correct answer: 1. It is the gold standard to diagnose a case for rebasing